All are true about the branches of aorta except-
1. Beginning and end of the arch of the aorta are at the same level
2. Branches arise from convexity
3. Left recurrent laryngeal nerve winds around the arch
4. Coronary arteries arise from the arch of aorta

Correct answer: 4. Coronary arteries arise from the arch of aorta

Explanation: Ans. is 'd' i.e., Coronary arteries arise from the arch of aorta Arch of aorta o It lies in the superior mediastinum, behind the lower half of manubrium sterni. It begins as a continuation of ascending aorta at the level of the upper border of right second sternocostal junction (sternal angle) and continues as descending aorta on the left side at the lower border of T4 vertebra. Thus beginning and end of the arch of the aorta are at the same level, although it begins anteriorly and ends posteriorly. Arch of aorta has following features Left surface is crossed by 4 nerves from anterior to posterior: left phrenic, the superior cervical cardiac branch of left sympathetic trunk, the inferior cervical cardiac branch of left vagus, and left vagus nerve. Left recurrent laryngeal nerve winds around the arch. Three branches arise from convexity brachiocephalic trunk, left common carotid artery and left subclavian artery